Arteriole is
1. Conducting vessel
2. Resistance vessel
3. Exchange vessels
4. Capacitance vessel

Correct answer: 2. Resistance vessel

Explanation: Arterioles regulate the distribution of blood flow by altering their diameter to increase or decrease the peripheral resistance as required.